Increased level of IgE seen in:
1. Atopy
2. Lepra reaction
3. Cutaneous TB
4. Lupus vulgaris

Correct answer: 1. Atopy

Explanation: Atopy